False about trans fatty acid -
1. Fried rice have high content of TFA
2. Hydrogenation increases TFA
3. Refining decreases TFA
4. ↑LDL

Correct answer: 3. Refining decreases TFA

Explanation: Refining decreases TFA 

Vegetable oil refining and hydrogenation increase trans-fatty acid contents.